Vit. A deficiency is characterized by – a)  Bitot's spotb)  Xerophthalmiac)  Night blindnessd)  Tranta's spot
1. abc
2. bc
3. acd
4. bcd

Correct answer: 1. abc